One of the following is an absolute contraindication for treatment of Thyrotoxicosis in pregnancy of 6 months duration:-
1. Antithyroid drug
2. I131 therapy
3. Telepaque
4. Surgery

Correct answer: 2. I131 therapy

Explanation: Radioactive iodine is an absolute contraindication in the treatment of thyrotoxicosis in pregnancy. In fact, it should not be given to patients even wanting pregnancy within 6 months.